Quinuspristine/dalfopristine act by -
1. Inhibiting cell wall synthesis
2. Inhibiting protein synthesis
3. Inhibiting folic acid
4. Acts on cell membrane

Correct answer: 2. Inhibiting protein synthesis

Explanation: Ans. is 'b' i.e., Inhibiting protein synthesis These drugs inhibit protein synthesis by binding to 50 ',S" ribosome. o These drugs also inhibit t-RNA synthetase activity.